Plasma cells are increased in-
1. Rheumatoid arthritis
2. Acute appendicitis
3. Bronchitis
4. Bristles of burnt skin

Correct answer: 1. Rheumatoid arthritis

Explanation: Plasma cells are increased in autoimmune diseases due to autoantigenic Stimulation.
Rheumatoid arthritis is an autoimmune disorder.